Hypercalcemia is decreased by all of the following EXCEPT:
1. Etidronate
2. Calcitonin
3. Lithium
4. Glucocorticoids

Correct answer: 3. Lithium

Explanation: Ans. C i.e. Lithium